Unna boot is used for treatment of -
1. Diabetic foot ulcer
2. Varicose ulcers
3. Ankle instability
4. Calcaneum fracture

Correct answer: 2. Varicose ulcers

Explanation: Ans. is 'b' i.e.,Varicose ulcers Unna Boot* It is named for the dermatologist Paul Gerson Unna.* This boot can be used to treat uninfected nonnecrotic leg and foot ulcers that result from such conditions as venous insufficiency (varicose ulcers) and stasis dermatitis.